A 9 yr old child is restless. He is hyperactive and his teacher complains that he does not listen to the teachings. Disturbs other students he also shows less interest in playing.The likely diagnosis is:
1. Cerebral palsy
2. Attention deficit hyperkinetic child
3. Delirium
4. Mania

Correct answer: 2. Attention deficit hyperkinetic child

Explanation: B i.e. Attention deficit hyperkinetic childFor ruling out delirium : look forAcute onset, clouding of consciousness with disorientationQfin time > place > person)For ruling out mania : look forAn abnormally & persistently elevated, expansive or irritable mood (atleast 1 week or hospitalization is needed) with inflated self esteem/grandiosity; more distractibility/talkativeness / involvement in pleasurable activities; increase in goal directed activities & decreased need for sleep. Diagnostic criteria of Attention deficit - Hyperkinetic child (1) Six (or more) of the following symptoms of inattention have persisted for atleast 6 months to a degree that is maladaptive and in consistent with developmental level:(a) often make careless mistakes(b) often has difficulty sustaining attention(c) often does not listen(d) often fails to follow through on instructions or to finish tasks(e) often has difficulty organizing takes and activities(f) often avoids tasks requiring sustained attention(g) often loses things(h) often is easily distracted(i) often is forgetful (2) Six (or more) of the following symptoms of hyperactivity-impulsivity have persisted for atleast 6 months to a degree that is maladaptive and inconsistent with developmental level: Hyperactivity: (a) often fidgets or squirms (b) often leaves seat (c) often moves excessively (may feel rest less) (d) often has difficulty playing or engaging in leisure activities quietly (e) is often "on the go" (f) often talks excessively Impulsivity: (g) often blurts out answers (h) often has difficulty awaiting turn (i) often interrupts or intrudes on others.